Which of the following is an example of a polychlorinated hydrocarbons?
1. Parathion
2. Malathion
3. Diazinion
4. Endrin

Correct answer: 4. Endrin

Explanation: Endrin is a chlorinated hydrocarbon belonging to the subgroup of indane derivatives. Parathion, malathion and diazenon are organophosphates. Ref: The Essentials of Forensic Medicine and Toxicology By Dr K S Narayan Reddy, 27th Edition, Page 457